A 25-year-old man presents with 3 days history of pain in the right lower abdomen and vomiting. Patient's general condition is satisfactory and clinical examination reveals a tender lump in right iliac fossa. The most appropriate management in this case would be:
1. Immediate appendicectomy
2. Exploratory laparotomy
3. Ochsner-Sherren regimen
4. External drainage

Correct answer: 3. Ochsner-Sherren regimen

Explanation: Ans. (c) Ochsner-Sherren regimenRef: Bailey and Love 26th edition, Page 1211* This is a case of appendicular mass -- hence conservative regimen is followed.* In a case of appendicular mass if we try to do appendectomy it may result in fistula